Which of the following is known as abdominal policeman?
1. Omentum
2. Spleen
3. Liver
4. None of the above

Correct answer: 1. Omentum

Explanation: In the early twentieth century, the British surgeon Rutherford Morison noted that the omentum tended to wall off areas of infection and limit the spread of intraperitoneal contamination. He termed the omentum the abdominal policeman. Ref: Schwartz's principle of surgery 9th edition, chapter 35.